Dysmetria is seen in lesions of
1. Basal ganglia
2. Cerebellum
3. Pons
4. Cerebral cortex

Correct answer: 2. Cerebellum

Explanation: Dysmetria is manifested by past pointing in the cerebellum. The cerebellum controls all aspects of movements like rate, range, direction & force of movement, hence ataxia is a prominent feature of the cerebellar disease Ref : Ganong 25th ed/page 248